End organ for vision is -
1. Bipolar cell
2. Ganglion cell
3. Rods and cones
4. Lateral geniculate body

Correct answer: 3. Rods and cones

Explanation: sensory end organs means any of the special clusters of cells that form a capsule around the receptor ends of certain sensory axons and affect the response of the axons. They include Meissner corpuscles, Pacinian corpuscles, Ruffini corpuscles, Golgi tendon organs etc. In case of vision those clusters of cells are constituted by rodes and cones